When a 'spontaneous perforation' of the esophagus occurs as a result of severe barotrauma while a person vomits against a closed glottis, what is the condition known as -
1. Mallory-Weiss syndrome
2. Plummer Vinson syndrome
3. Kartagener syndrome
4. Boerhaave syndrome

Correct answer: 4. Boerhaave syndrome